All of the following are vitamin K dependent coagulation factors except :
1. Factor X
2. Factor VII
3. Factor II
4. Factor VIII

Correct answer: 4. Factor VIII